Vocal cord palsy is not caused by:
1. Vertebral secondaries
2. Left atrial enlargement
3. Bronchogenic carcinoma
4. Secondaries in mediastinum

Correct answer: 1. Vertebral secondaries

Explanation: (a) Vertebral secondaries(Ref. Scott Brown, 6th ed., 1/12/17)Superior and recurrent laryngeal nerves are not in close proximity to vertebrae.Rest of the given (mediastinal) conditions can cause left recurrent laryngeal nerve palsy.